False statement regarding myocardial infarction and depression is:
1. Depression is a risk factor for MI
2. MI is a risk factor for depression
3. SSRI's can be used post MI for treatment of depression
4. Only cognitive behavioral therapy is used after MI

Correct answer: 4. Only cognitive behavioral therapy is used after MI

Explanation: The first three options are correct. Depression and myocardial infarction are risk factors for each other. The treatment of depression after MI involves both medications and CBT.